Which joint is spared in rheumatoid arthritis
1. MetacarpoPhalyngeal joints of hand
2. DistalPhalyngeal JOINTS OF FINGER
3. Proximal interPhalyngeal JOINTS OF FINGER
4. ATLANTO -AXIAL JOINT

Correct answer: 2. DistalPhalyngeal JOINTS OF FINGER

Explanation: In rheumatoid arthritis particular importance is the sparing of distal interpharyngeal joints. Rheumatoid arthritis (RA) is a chronic, systemic autoimmune disease that involves inflammation in the membrane lining of the joints and often affects internal organs. Most patients exhibit a chronic fluctuating course of disease that can result in progressive joint destruction, deformity, and disability. RA affects between 1 and 2 million Americans. It occurs three times more often in women, and peaks at age 35 to 50 years. JOINTS INVOLVED : Hands and wrists Shoulders Elbows Feet Knees Hips Cervical spine Refr Maheshwari 9th /e p 287